Best approach to study a rare disease is:
1. Case control study
2. Cross-sectional study
3. Cohort study
4. Clinical trial

Correct answer: 1. Case control study